Complications of Colle's fracture include the following except:
1. Rupture of Extensor Pollicis Brevis tendon
2. Rupture of Extensor Pollicis Longus Tendon
3. Malunion
4. Sudek's osteodystrophy

Correct answer: 1. Rupture of Extensor Pollicis Brevis tendon

Explanation: Ans. A. Rupture of Extensor Pollicis Brevis tendon. (Ref. Practical Orthopedics by Ebnezar/pg.141)Colies' FractureA Codes' fracture refers to an extra-articular, transverse fracture of the distal radial shaft. It most commonly occurs near the articular surface, causing dorsal angulation of the distal fragment in the metaphyseal area, giving the appearance of an upside-down dinner fork, radial deviation of hand, and swelling.Complications of Colie's fracture# Healing with some residual malalignment resulting in shortened radius or a distal radial displacement.# Triangular fibrocartilage complex (TFCC) tear# Distal radioulnar joint (DRUJ)subluxation or dislocation# Late complications include:- extensor policus longus (EPL) rupture,- reflex sympathetic dystrophy (Sudek's dystrophy),- median nerve compression/carpal tunnelsyndrome,- Malunion.